Maximum calories are found in which fruit ?
1. Banana
2. Mango
3. Orange
4. Pear

Correct answer: 1. Banana

Explanation: Ans. is 'a' i.e.,Banana Energy in important fruits (peripiece): Avocado (150 Cal) > Banana (107 cal) > apple (95 cal) > orange (65 cal) > Pear (45 cal) > mango (40 Cal).